A child is presenting with erythmatous follicular papules on trunk. There are areas of normal skin within the lesions. There is thickening of Palms & soles. This child is suffering from –
1. Pityriasis rosea
2. Pityriasis rubra pilaris
3. Psoriasis
4. Seborrheic dermatitis

Correct answer: 2. Pityriasis rubra pilaris

Explanation: Clues are :-


Erythmatous follicular papules
Involvement of trunk
Thickening of Palm and soles (Palmo-Planter keratoderma)
The most important one is presence of normal skin within the lesions


Diagnosis is nothing other than pityriasis rubra pylaris.